The awareness regarding the disease in psychiatric patient in mental status examination (MSE, not MMSE was given in the question) is called:
1. Insight
2. Orientation
3. Judgment
4. Rapport

Correct answer: 1. Insight

Explanation: Ans. a. Insight (Ref: Kaplan and Sadock's 9/e p897)InsightKnowledge of own disease/illness in mental status examinationInsight* Awareness of own disease/illness in mental status examinationQOrientation* Component of cognitionQRapport* Patient's attitudeQJudgment* Patients capacity to make sound decisionsQ